Egg yields about ________K cal of energy -
1. 50
2. 60
3. 70
4. 80

Correct answer: 3. 70

Explanation: EGG Contain all the nutrients except carbohydrates and vitamin C. An egg weighing 60g contains 6g of protein, 6g of fat , 30 mg of calcium and 1.5 mg of iron, and supplies about 70 kcal of energy. Egg proteins have all the nine essential aminoacids needed by body in right proportions. Egg protein is the standard against which the quality of other proteins is compared. Except for vitamin C, egg contains all the fat soluble and water soluble vitamins in appreciable amounts. Important minerals such as calcium, phosphorous, iron, zinc, and other trace elements. NPU (Net protein Utilization) is 100 for egg . Boiling destroys avidin , a substance which prevents the body from obtaining biotin . {Reference: Park's textbook of community medicine 23 rd edition}